Drugs used for prophylaxis of migraine is/are :
1. Flunarizine
2. Beta blocker
3. Sodium valproate
4. All of these

Correct answer: 4. All of these